Patients with ITP(Immune Thrombocytopenic Purpura) have antibodies to which of the following?
1. Platelet ADP
2. Platelet membrane cholesterol
3. Platelet membrane glycoproteins
4. Platelet membrane lipids

Correct answer: 3. Platelet membrane glycoproteins

Explanation: The autoantibodies in IPT are usually directed against platelet membrane glycoproteins. ADP and thromboxane A2 are involved in platelet aggregation. Cholesterol and lipids are components of virtually all mammalian plasma membranes. Also Know: Immune thrombocytopenic purpura (ITP; also termed idiopathic thrombocytopenic purpura) is an acquired disorder in which there is immune-mediated destruction of platelets and possibly inhibition of platelet release from the megakaryocyte. ITP is characterized by mucocutaneous bleeding and a low, often very low, platelet count, with an otherwise normal peripheral blood cells and smear. Patients usually present either with ecchymoses and petechiae, or with thrombocytopenia incidentally found on a routine CBC. Wet purpura (blood blisters in the mouth) and retinal hemorrhages may herald life-threatening bleeding. Ref: Konkle B. (2012). Chapter 115. Disorders of Platelets and Vessel Wall. In D.L. Longo, A.S. Fauci, D.L. Kasper, S.L. Hauser, J.L. Jameson, J. Loscalzo (Eds), Harrison's Principles of Internal Medicine, 18e.